Sickle cell disease associated with which type of renal cell carcinoma?
1. Medullary
2. Papillary
3. Chromophobe
4. Colloid

Correct answer: 1. Medullary

Explanation: A i.e. MedullaryRef: WHO, Urogential System, page 122Explanation:Medullary Renal Cell CarcinomaRare, highly aggressive medulla centered carcinoma.Associated with sickle cell trait* or other hemoglobinopathies*.Rare carcinoma arising in the renal medulla.Occurs predominately in young patients with sickle cell trait.Variety of histologic patterns.Sickied erythrocytes may be pathognomonic.Majority show loss of SMARCB1 /INI1*.Poor prognosis*.